Which of the following condition is diagnosed by Marshall-Bonney test?
1. Stress incontinence
2. Urge incontinence
3. Vesico veginal fistula
4. Utero vesical fistula

Correct answer: 1. Stress incontinence

Explanation: Stress urinary incontinence (SUI) is defined as the complaint of involuntary leakage on effort or physical exertion or on coughing or sneezing. The cause is related to pelvic relaxation with age, resulting in descent of the trigone and proximal urethra. There is obliteration of the urethrovesical angle, which normally provides resistance at the bladder outlet. The diagnosis is made by the history and physical examination and urodynamic evaluation. Digital pressure applied to the paraurethral tissues in an anterior direction through the vagina reestablishes the urethrovesical angle and prevents stress incontinence (Marshall-Bonney test). Treatment includes behavioral therapy and perineal exercises; if unsuccessful, pharmacologic methods include oxybutynin and ephedrine. Definitive management is surgical. Ref: Cooper C.S., Joudi F.N., Williams R.D. (2010). Chapter 38. Urology. In G.M. Dohey (Ed), CURRENT Diagnosis & Treatment: Surgery, 13e.